Which of the following causes lupus like features?
1. Hydralazine
2. Amphetamines
3. Clozapine
4. Esmolol

Correct answer: 1. Hydralazine

Explanation: Ans. is 'a' i.e., Hydralazine